All of the following cell types undergo cell division, EXCEPT:
1. Pericyte
2. Cardiac muscle cell
3. Smooth muscle cell
4. Satellite cell of skeletal muscle

Correct answer: 2. Cardiac muscle cell

Explanation: Myocyte cell division in the human heart ceases a few weeks after birth. Thereafter, enlargement of the heart is as a result of cell hypertrophy or the laying down of collagen in the extracellular space. DNA turnover is almost undetectable except in pathologic states. Approximately 20% of myocytes in the human heart have two nuclei, so that cell separation, rather than mitosis, could bring about a small increase in the total cell number. Ref: Francis G.S., Tang W., Walsh R.A. (2011). Chapter 26. Pathophysiology of Heart Failure. In V. Fuster, R.A. Walsh, R.A. Harrington (Eds), Hurst's The Heart, 13e.